True about Ca vulva associated/predisposed by 7 True about Ca vulva associate
1. Paget's disease
2. Vulval intraepithelial neoplasia
3. Bowen's disease
4. All

Correct answer: 4. All

Explanation: Ans. is a, b and c i.e. Paget's disease; Vulvar intraepithelial neoplasia; and Bowen's disease Premalignant lesion of vulva : Vulvar intraepithelial neoplasia VIN (most common. Paget's disease - Chronic vulvar dystrophies Condyloma accuminata. Bowen's disease is a type of VIN when among the ordinary atypical cells. large bloated cells called Bowen cells are also present.